Not a radiological feature of scleroderma
1. Acroosteolysis
2. Calcinosis
3. Erosion of superior aspect of ribs
4. Bullet shaped vertebra

Correct answer: 4. Bullet shaped vertebra

Explanation: Bullet shaped vertebra is seen in Achondroplasia.